PNH is associated with a deficiency of:
1. DAF
2. MIRL
3. GPI Anchored protein
4. All of the above

Correct answer: 4. All of the above

Explanation: PNH is associated with deficiency of GPI anchor proteins and thereby leading to absence of about 20 external surface membrane proteins to which it attaches. CD55 (DAF) and CD59 (MIRL) are two such complement defence proteins. Ref: Harrison's Principles of Internal Medicine, 16th Edition, Page 616; Wintrobe's Clinical Hematology By John P. Greer, Maxwell Myer Wintrobe, Page 998.